Drugs used in treatment of organophosporus poisoning are all except:
1. Sodium bicarbonate
2. Naloxone
3. Atropine
4. Activated charcoal

Correct answer: 2. Naloxone